Keratometry is useful in measuring –
1. Corneal curvature
2. Corneal thickness
3. Conical diameter
4. Depth of anterior chamber

Correct answer: 1. Corneal curvature

Explanation: Keratometry

A keratometer, also known as an ophthalmometer, is a diagnostic instrument for measuring the curvature of the anterior surface of cornea. Keratometer reading provide the following information to assist in the overall assessment of the cornea:-


Radii of curvature of the cornea
The degree of corneal astigmatism
The direction of the principal meridians of the eye, determining whether the astigmatism is with the rule or against the rule:- a key factor in contact lens fitting.
The presence of any corneal distortion.